Oral Lesions are not seen in:
1. Psoriasis
2. Pemphigoid
3. Stevens-Johnson syndrome
4. Candidiasis

Correct answer: 1. Psoriasis

Explanation: If the deep scales in psoriasis are removed, one or more tiny bleeding points are seen. This feature is known as Auspitz's sign and this is characteristic of psoriasis.